Selection criteria for ASHA are all except -
1. Woman
2. Resident of village
3. Education upto class five
4. Literate

Correct answer: 3. Education upto class five

Explanation: Ans. is 'c' i.e., Education upto class five Accredited Social Health Activist (ASHA)o ASHA is the central component of the National Rural Health Mission (NRHM)o One of the key components of the National Rural Health Mission is to provide every village in the country with a trained female community health activist - 'ASHA' or Accredited Social Health Activist. Selected from the village itself and accountable to it, the ASHA will be trained to work as an interface between the community and the public health system.o Resource person for training of ASHA are Anganwadi workers (AWW) and Auxiliary Nurse Midwife (ANM). Following are the key components of ASHA:o ASHA must primarily be a woman resident of the village- married/widowed/divorced, preferably in the age group of 25 to 45 years.o She should be a literate woman with formal education up to class ten. This may be relaxed only if no suitable person with this qualification is available.o ASHA will be the first port of call for any health related demands of deprived sections of the population, especially women and children, who find it difficult to access health serviceso ASHA will be a health activist in the community who will create awareness on health and its social determinants and mobilize the community towards local health planning and increased utilization and accountability of the existing health services. She would be a promoter of good health practiceso She will counsel women on birth preparedness, importance of safe delivery, breastfeeding and complementary feeding, immunization, contraception and prevention of common infections including Reproductive Tract Infection/ Sexually Transmitted Infection (RTIs/STIs) and care of the young childo She will arrange escort/accompany pregnant women & children requiring treatment/ admission to the nearest preidentified health facility i.e. Primary Health Centre/ Community Health Centre/ First Referral Unit (PHC/CHC /FRU).o ASHA will provide primary medical care for minor ailments such as diarrhoea, fevers, and first aid for minor injuries. She will be a provider of Directly Observed Treatment Short-course (DOTS) under Revised National Tuberculosis Control Programmeo She will also act as a depot holder for essential provisions being made available to every habitation like Oral Rehydration Therapy (ORS), Iron Folic Acid Tablet (IFA), chloroquine, Disposable Delivery Kits (DDK), Oral Pills & Condoms, etc. A Drug Kit will be provided to each ASHA,o The general norm will be 'One ASHA per 1000 population \ In tribal, hilly, desert areas the norm could be relaxedto one ASHA per habitation, dependant on workload etc.o ASHA would be an honorary volunteer and would not receive any salary or honorarium. Her work would be so tailored that it does not interfere with her normal livelihoodo ASHA will also be a part of JSY.o ASHA is involved in Home-based Newborn Care (HBNC) and in home delivery in case of contraceptive failure.Monitoring and Evaluation of ASHA's worko Government of India has set up following indicators for monitoring ASHA (41).1. Process Indicatorsa) Number of ASHAs selected by due processb) Number of ASHAs trained; andc) % of ASHAs attending review meeting after one year2. Outcome Indicatorsa) % of newborn who were weighed and families counseled.b) % of children with diarrhoea who received ORS.c) % of deliveries with skilled assistance.d) % of institutional deliveries.e) % of JSY claims made to ASHAf) % of completely immunized in 12 to 23 months age group.g) % of unmet need for spacing contraception among BPL.h) % of fever cases who received chloroquine with in first week in a malaria endemic area.3. Impact Indicatorsa) IMRb) Child malnutrition ratesc) Number of cases of TB/leprosy detected as compared to previous year.Remuneration of ASHAo ASHA gets remuneration for following works1) Under JSY (On 45th day): Institutional deliveries; home deliveries; Birth weight record; Birth registration; and Immunization with BCG and first dose of OPV and DPT.2) Other: Family planning; pulse polio immunization; DOTS provider; Leprosy treatment; PS for malaria; malaria treatment; promotion of sanitary toilets; institutional deliveries; provision of sanitary napkins to adolescent girls; transport of antenatal mother; and complete immunization upto 1 & 2 years.Note: At many references, educational criteria of ASHA is given as eight standard. But at official website of National Health Mission it has mentioned as 10 standard.